Pringle maneuver may be required for treatment of:
1. Injury to fail of pancreas
2. Mesenteric ischemia
3. Bleeding esophageal varices
4. Liver laceration

Correct answer: 4. Liver laceration

Explanation: Ans. (d) Liver Laceration* Pringle Maneuver is used to stop bleeding from liver during trauma as well as during surgery* It occludes the inflow totally - bleeding stops from Hepatic artery and portal vein.* Pringle maneuver can be tolerated by normal liver for 60 minutes and only for 30 minutes in Cirrhotic liver.